Which one of the following statements is wrong regarding adult polycystic kidney disease?
1. Kidneys are enlarged in size
2. The presentation is unilateral
3. Intracranial aneurysms may be associated
4. Typically manifests in the 3rd decade

Correct answer: 2. The presentation is unilateral

Explanation: Ans. The presentation is unilateral